Which of the following group of antidiabetic drugs are contraindicated in patient with MEN syndrome?
1. Biguanides
2. GLP - 1 analogues
3. α - glucosidase inhibitors
4. Meglitinides

Correct answer: 2. GLP - 1 analogues

Explanation: GLP 1 analogues can lead to medullary carcinoma of thyroid and hence they are contraindicated in patients with MEN syndrome.